All of the following are branches of subclavian artery except :
1. Vertebral artery
2. Thyrocervical trunk
3. Subscapular artery
4. Internal thoracic artery

Correct answer: 3. Subscapular artery

Explanation: C i.e. Subscapular aerySubscapular artery is the largest branch of 3rd part of axillary artery ; vertebral artery is the first & largest branch of 1st part of subcaln artery.